Which of the following statement is false regarding subclavian steal syndrome ?
1. Most commonly stenosed vessel is Left Subclavian artery .
2. Reversal of blood flow in the contralateral vertebral artery .
3. Reversal is to compensate for a proximal stenosis of Subclavian artery .
4. Majority cases are asymptomatic .

Correct answer: 2. Reversal of blood flow in the contralateral vertebral artery .

Explanation: Most commonly involved Vessel - Left SCA > Right SCA Reversal in the blood flow in the ipsilateral vertebral artery to compensate for a proximal stenosis of SCA . Majority of cases are asymptomatic but severe stenosis can lead to Transient vertebrobasilar ischemia .